The characteristic feature of apoptosis on light microscopy is:
1. Cellular swelling
2. Nuclear compaction
3. Intact cell membrane
4. Cytoplasmic eosinophlia

Correct answer: 2. Nuclear compaction

Explanation: Ans. (b) Nuclear compaction(Ref: Robbins 9th/pg 53)Here student gets confused in 2 options b and c..On light microscopy, most characteristic feature is condensation of nuclear chromatin and not intactness of cell membraneIntact cell membrane and lack of inflammation differentiates apoptosis from necrosis.